A 25-year-old male patient having seminiferous tubule dysgenesis was diagnosed as a case of Klinefelter's syndrome. All of the following are true about Sertoli cells except
1. Sertoli cells are large, complex glycogen-containing cells stretching from the basal lamina of the tubule to the lumen
2. Tight junctions between adjacent Sertoli cells near the basal lamina form a blood-testis barrier
3. The Sertoli cells secrete androgen-binding protein (ABP), relaxin, and MIS
4. They can produce estrogens

Correct answer: 3. The Sertoli cells secrete androgen-binding protein (ABP), relaxin, and MIS

Explanation: "The walls of the seminiferous tubules are lined by primitive germ cells and Sertoli cells, large, complex glycogen-containing cells that stretch from the basal lamina of the tubule to the lumen. Germ cells must stay in contact with Sertoli cells to survive; this contact is maintained by cytoplasmic bridges. Tight junctions between adjacent Sertoli cells near the basal lamina form a blood-testis barrier that prevents many large molecules from passing from the interstitial tissue and the part of the tubule near the basal lamina. Spermatids mature into spermatozoa in deep folds of the cytoplasm of the Sertoli cells. Mature spermatozoa are released from the Sertoli cells and become free in the lumens of the tubules. The Sertoli cells secrete the androgen-binding protein (ABP), inhibin, and MIS. They do not synthesize androgens, but they contain aromatase (CYP19), the enzyme responsible for the conversion of androgens to estrogens, and they can produce estrogens. ABP probably functions to maintain a high, stable supply of androgen in the tubular fluid. Inhibin inhibits follicle-stimulating hormone (FSH) secretion."